Following are more common in multipara woman than primipara except:
1. Anemia
2. Placenta previa
3. PIH
4. None of the above

Correct answer: 3. PIH

Explanation: Ans. is c, i.e. PIHRef. Dutta Obs. 7/e, p 262Disorders most common in Multiparae during Pregnancy:AnemiaAbortionH moleTwins (5th gravida onwards)Placenta previaAbruptio placentaeRh isoimmunizationPrematurityPrecipitate labourDuring Labour:Cord prolapseCephalopelvic disproportionObstructed labourRupture uterusPost partum hemorrhageShockOperative interferenceDisorders most common in Nullipara:Hyperemesis gravidarumPIHPyelonephritis in pregnancy